All of the following are required for synthesis of glutamine except:
1. Glutamate
2. Ammonia
3. Pyridoxal phosphate
4. ATP

Correct answer: 3. Pyridoxal phosphate

Explanation: Glutamic Acid (Glutamate)

Nonessential Amino Acid
Glucogenic Amino Acid
Central role in metabolism of Amino Acid
Amino group of all Amino Acids are concentrated as Glutamate by transamination.